In Snyder's Test, the saliva is said to be highly cariogenic
if colour change is observed at (hrs)
1. 24
2. 48
3. 72
4. 96

Correct answer: 1. 24